"Sub-mucosal glands" are present in?
1. Duodenum
2. Colon
3. Anal canal
4. Stomach

Correct answer: 1. Duodenum

Explanation: Duodenum and oesophagus have submucosal glands. The submucosa of the duodenum is densely packed with mucous Brunner's glands.The oesophagus has occasional submucosal mucous glands.Reference: Chaurasia; 6th edition